Uterine artery is a branch of:
1. Abdominal aorta
2. External iliac artery
3. Femoral artery
4. Internal iliac artery

Correct answer: 4. Internal iliac artery

Explanation: Internal iliac artery